Mouth lesions are seen in
1. Psoriasis
2. Lichen planus
3. Ichthyosis vulgaris
4. Basal cell carcinoma

Correct answer: 2. Lichen planus

Explanation: A white lacework pattern on the buccal mucosa in most frequently observed in lichen planus in 30% of the patients ii Psoriasis - common site - elbow, knee, scalp, lower back fingernails iii Basal cell carcinoma - common site is face